Painful are syndrome is seen in all except -
1. Complete tear of supraspinatus
2. # greater tuberosity
3. Subacromial bursitis
4. Supraspinatus tendinitis

Correct answer: 1. Complete tear of supraspinatus

Explanation: Painful are syndrome is seen in incomplete tear of supraspinatus tendon (not in complete tear).